Tomatoes are rich in which one of the following antioxidants?
1. Allicin
2. Curcumin
3. Lignans
4. Lycopene

Correct answer: 4. Lycopene

Explanation: Antioxidants: Substances which are both nutrients( vitamins E and C , beta carotene, selenium) and non nutrients( plant phenols, flavonoids, coumarins, benzyl iso thiocyanates, caffeic, ferrulic, gallic and ellagic acids, some enzymes like superoxide dismutase, catalase). Reduce the adverse effects of ROS( Reactive oxygen species) snd nitrogen species generated through physiological and pathological condition. In healthy subjects, the dietary antioxidants from a balanced diet with adequate fruits and vegetable ranging from 500-600 gm/d will be enough to take care of oxidant damage. Antioxidant in tomato is lycopene. {Reference: Park's textbook of community medicine 23 rd edition, pg no. 644}